Which one of the following is not autosomal recessive?
1. Cystic fibrosis
2. Wilson's disease
3. Hemochromatosis
4. Neurofibromatosis

Correct answer: 4. Neurofibromatosis

Explanation: (D) Neurofibromatosis INHERITANCE PATTERNEXAMPLESAutosomal dominant* Huntingtons disease, Neurofibromatosis 1, Marfan Syndrome, Hereditary nonpolyposis colorectal cancer* Hereditary multiple exostosesis; Familial Hypercholesterolemia; Heriditary spherocytosis; APKD; Porphyria* Osteogenesis imperfecta; Von Willebrand's disease; Myotonic dystrophy; Otosclerosis; Achondroplasia; CAHAutosomal recessive* Cystic fibrosis, Sickle cell anemia, Tay-Sachs disease, Spinal muscular atrophy, Albinism; Wilson disease* Hemochromatosis; b-thalassemia; Homocystonuria; Friedrich's ataxia; Phenylketonuria* Fanconi syndrome; Gaucher's disease; Down syndromeX-linked dominant* Hypophosphatemia, Aicardi Syndrome, Chokenflok SyndromeX-linked recessive* Hemophilia A, Duchenne muscular dystrophy, Color blindness, Muscular dystrophy* Fragile X syndrome; G6PD deficiency; Sideroblastic anaemia; Androgenetic alopeciaY-linked* Male InfertilityMitochondrial* Leber's Hereditary Optic Neuropathy (LHON)